Renal calculi are commonly made up of
1. Calcium oxalate
2. Magnesium ammonium phosphate
3. Uric acid
4. Cystine

Correct answer: 1. Calcium oxalate

Explanation: There are four main types of kidney stones Calcium stones are the most common type of kidney stones. They are usually made of calcium and oxalate (a natural chemical found in most foods), but are sometimesmade of calcium and phosphate. Uric acid stones form when your urine is often too acidic. Refer robbins 9/e p951